Partogram is used to :
1. Assess the fetal well-being in labour
2. Assess the condition the baby at birth
3. Record the events of pregnnacy
4. Assess the progress of labour

Correct answer: 4. Assess the progress of labour

Explanation: Assess the progress of labour